Which is NOT a feature of polymyositis -a) Ocular muscle involvementb) Gottron's rashc) Proximal muscle involvementd) Pain in limbs
1. ac
2. ab
3. ad
4. bc

Correct answer: 2. ab